Agoraphobia is commonly associated with:-
1. Schizophrenia
2. Bipolar disorder
3. Panic disorder
4. OCD

Correct answer: 3. Panic disorder

Explanation: Agoraphobia: An irrational fear of open spaces or places where reaching a secure or safe base is difficult Commonest phobia encountered in clinical practice More common in women than men Panic disorder is commonly associated with agoraphobia Can cause significant dysfunctionality The individuals suffering from agoraphobia might become overly dependent on their phobic companion(s) - handful of people whom they trust.